Which is the most reliable diagnostic method for staging the oesophageal cancer
1. MRI
2. Endoscopic ultrasound
3. CT scan
4. Thoracoscopy

Correct answer: 2. Endoscopic ultrasound

Explanation: Endoscopic ultrasound can determine the depth of spread of a malignant tumour through the oesophagal wall, invasion of adjacent organs and metastasis to lymph nodes.It can also detect contiguous spread downward into the cardia and more distant metastasis to the left lobe of the liver Although CT will detect distant metastasis, its limited axial resolution precludes a reliable assessment of both the depth of wall penetration and LN involvement. From Bailey and Love's short practice of surgery,26 th Ed, pg 1009